The most common pre-malignant condition of oral carcinoma is ?
1. Leukoplakia
2. Erythroplakia
3. Lichen planus
4. Fibrosis

Correct answer: 1. Leukoplakia

Explanation: Ans. is 'a' i.e., Leukoplakia o There are two premalignant lesions for oral Cancer ? i) Leukoplakia ii) Erythroplakia o Leukoplakia is the most common premalignant lesions. o But, the risk of malignant transformation of erythroplakia is much higher than that seen with leukoplakia. o The most common predisposing factor for both these conditions is smoking.